Bone resorption markers are:
1. Serum propeptide of type I procollagen
2. Osteocalcin
3. Urine total free deoxypyridinoline
4. Free glutamic acid cross linkage.

Correct answer: 3. Urine total free deoxypyridinoline

Explanation: C. i.e. Urine total free deoxypyridindine